Drug of choice for pneumocystis carinii:
1. Cotrimoxazole
2. Erythromycin
3. Penicillin
4. Metronidazole

Correct answer: 1. Cotrimoxazole

Explanation: Ans. is 'a' Cotrimoxazole Trimethoprim - Sulfamethoxazole (Cotrimoxazole) is the drug of choice for all forms of pneumocystis carinii infection.